Regarding point source epidemic true -a) Rapid rise and fallb) Only infectious causec) Explosived) ↑ secondary attack ratee) No secondary wave
1. ae
2. edb
3. ace
4. bd

Correct answer: 3. ace